In bishop score all are included except:
1. Effacement of cervix
2. Dilatation of cervix
3. Station of head
4. Interspinal diameter

Correct answer: 4. Interspinal diameter